Persistent belief of medical illness despite adequate investigation is
1. Hypochondriasis
2. Delusional disorder
3. Factitious disorder
4. conversion disorder

Correct answer: 1. Hypochondriasis

Explanation: (A) Hypochondriasis > Hypochondriasis is a persistant preoccupation with fear or belief of having disease, based on persons own interpretation of normal body function or minor physical abnormality.> This preoccupation persists despite repeated reassurance based on appropriate clinical examination and thorough investigation.> The patient in question is persistently preoccupied about her disease (headache) despite of all normal investigations and seeks another consultation as she still insists that there is something wrong in her head.